Which one of the following gross appearances of a kidney is most characteristic of malignant nephrosclerosis?
1. Broad U-shaped cortical scars overlying dilated calyces in renal poles
2. Depressed cortical areas overlying necrotic papillae of varying stages
3. Multiple small petechial hemorrhages on the surface
4. Multiple small white areas on the surface

Correct answer: 3. Multiple small petechial hemorrhages on the surface

Explanation: Renal arteriolar changes in malignant nephrosclerosis (malignant hypertension) include fibrinoid necrosis of arterioles (necrotizing arteriolitis), hyperplastic arteriolosclerosis (onion-skinning), necrotizing glomerulitis, and often a thrombotic microangiopathy. Grossly, multiple small petechial hemorrhages are found on the surface of the kidneys. The clinical course is often downhill, with only 50% of patients surviving 5 years; marked proteinuria, hematuria, cardiovascular problems, and finally renal failure contribute to death. The disease is often associated with accelerated preexisting benign essential hypertension, chronic renal disease (glomerulonephritis), or scleroderma In contrast, benign nephrosclerosis (renal disease occurring in benign hypertension) is characterized by hyaline arteriolosclerosis with thickened, hyalinized arteriolar walls and narrowed lumina. Fibroelastic hyperplasia occurs in the larger muscular arteries. Small kidneys with a finely granular surface often result because of ischemic atrophy of nephrons. Broad Ushaped cortical scars overlying dilated calyces in the renal poles are seen with chronic pyelonephritis (reflux causes scars involving poles only, while obstruction produces scars all over the kidney), depressed cortical areas overlying necrotic papillae of varying stages are seen with analgesic nephropathy and diabetes mellitus, multiple small white areas on the surface are seen with acute pyelonephritis, and wedge-shaped (i.e., V-shaped) pale cortical scars are seen with renal infarcts. Reference: Robbins & Cotran Pathologic Basis of Disease, 9edition